Maximum amount of flouride is absorbed by:
1. Enamel
2. Dentin
3. Cementum
4. Pulp

Correct answer: 3. Cementum

Explanation: Enamel 2200 – 3300 ppm
Dentin 200 – 300 ppm
Cementum 4400 ppm
Pulp is 100 – 650 ppm